Which of the following is first rank symptom described by Schneider in schizophrenia?
1. Echolalia
2. Thought insertion
3. Inappropriate affect
4. Suicidal tendency

Correct answer: 2. Thought insertion

Explanation: Ans. B. Thought insertionKurt Schneider's First-Rank Symptoms* Audible thoughts/thought echo* Voices arguing/ discussing about the pt.* Voices commenting on one's action/running commentary* Thought withdrawal* Thoughts insertion* Thoughts broadcast/ diffusion* Made impulses* Made feelings/affect* Made acts* Somatic passivity* Delusional perception